A 21 year old patient attended a party the previous night and gives the following symptoms, pain in abdomen radiating to back, pulse 100/min, BP 100/76, Temp 39degC and vomiting before coming. Most probable diagnosis is
1. Acute appendicitis
2. Acute cholecystitis
3. Acute diverticulitis
4. Acute pancreatitis

Correct answer: 4. Acute pancreatitis

Explanation: Clinical features of acute pancreatitis Cardinal symptoms : Epigastric and /or peri umbilical pain that radiates to the back, relieved by sitting & leaning forward Upto 90% of patients have nausea and/or vomiting that typically does not releive on pain Nature of the pain is constant Dehydration, poor skin turgor, tachycardia, hypotension & dry mucous membranes are commonly seen in patients with AP Mild-pancreatitis: Abdomen may be normal of reveal only mild epigastric tenderness Severe pancreatitis : Significant abdominal distension, associated with generalised rebound tenderness and abdominal rigidity Flank (Grey Turner), peri umbilical (cullen's sign) & inguinal ecchymosis (Fox sign) are indicative of retro peritoneal bleeding associated with severe pancreatitis Dullness to percussion and decreased breathing sounds in left or less commonly, in the right hemithorax suggest pleural effusion Ref : Sabiston 20th edition Pgno :1524-1528